In deaths due to starvation, gall bladder is:
1. Distended
2. Atrophied
3. Normal
4. None of the above

Correct answer: 1. Distended

Explanation: Ans. A i.e. Distended The gallbladder is distended with bile